Extra intestinal manifestations associated with inflammatory bowel disease are all except
1. Uveitis
2. Sclerosing cholangitis
3. Osteoarthritis
4. Skin nodules

Correct answer: 3. Osteoarthritis